What is the mode of action of warfarin?
1. Factor Xa inhibitor
2. Vitamin K antagonist
3. Activates antithrombin III
4. Activates factor IX

Correct answer: 2. Vitamin K antagonist

Explanation: Ref: KD Tripathi, 7th ed. pg. 620, 621* Warfarin and its congeners act as anticoagulants only in vivo (body), NOT in vitro (lab).* It acts by inhibiting Vitamin K. Due to overdose, hematuria is the first manifestation noted.* Dose monitoring is done by INR* Antidote of warfarin overdose: Vitamin K